Peripheral nerve sheath tumours include all except:
1. Schwannoma
2. Neurofibroma
3. malignant peripheral nerve sheath tumor (MPNST)
4. Synovial sarcoma

Correct answer: 4. Synovial sarcoma

Explanation: Peripheral nerve sheath tumours are composed of cells that show evidence of Schwann cell differentiation. These include the three common types, schwannoma, neurofibroma, and malignant peripheral nerve sheath tumor (MPNST). Synovial sarcoma is not a type of peripheral nerve sheath tumours.